True colour of cholesterol stone is?
1. Black
2. Brown
3. Dark yellow
4. Pale yellow

Correct answer: 4. Pale yellow

Explanation: Cholesterol stones are typically pale yellow in colour.Altered levels of cholesterol,lecithin,and bile salts in bile reduces the Micelle concentration in the bile leading to the precipitation of insoluble cholesterol,hence the stone formation(lithogenic bile). Pigment stones can be brown or black.Brown stones contains calcium bilirubinate,calcium palmitate,calcium stearate,and cholesterol.Black stones contains calcium bilirubinate,calcium phosphate,and bicarbonate.